Which of the following is also known as collateral ligament?
1. Sphenomandibular ligament
2. Discal ligament
3. Stylomandibular ligament
4. Lateral ligament

Correct answer: 2. Discal ligament

Explanation: The collateral ligaments attach the medial and lateral borders of articular disc to the poles of condyles and are commonly called as discal ligaments.